What are the complication (s) of meningitis in a child -
1. Arachinioidits
2. Intellectual disability
3. Status epilepticus
4. All

Correct answer: 4. All

Explanation: Ans is 'a' i.e., Arachinioidits, 'b' i.e., Intellectual disability, 'c' i.e., Status epilepticus